An advantage of using a gold restoration rather than an amalgam restoration is:
1. The ease of tooth preparation
2. Better adaptation to the walls of the preparation
3. The greater edge strength of cast gold
4. It is less expensive

Correct answer: 3. The greater edge strength of cast gold